Which of the following vitamin enhances intestinal absorption of calcium?
1. Vitamin D
2. Vitamin K
3. Vitamin B1
4. Vitamin B2

Correct answer: 1. Vitamin D

Explanation: Vitamin Functions Deficiency Disease D Maintenance of calcium balance Enhances intestinal absorption of Ca2+ and mobilizes bone mineral Regulation of gene expression and cell differentiation Rickets = poor mineralization of bone Osteomalacia = bone demineralization Reference: Harper; 30th edition; Page no: 550